The influence of maternal smoking and LBW incidence is studied. Detailed smoking history is taken at first AN visit and smoking history and birth weight were studied later. The type of study is-
1. Retrospective cohort study
2. Cross sectinal study
3. Clinical trial
4. Prospective cohort study

Correct answer: 4. Prospective cohort study

Explanation: prospective cohort studies is one which the outcome has not yet occurred at the time the investigation begins.most prospective studies begin in the present and continue into future. ref:park's textbook,ed 22,pg no 73